Synovial sarcoma cellular markers are ?
1. Cytokeratin
2. S-100
3. Vimentin
4. All

Correct answer: 4. All

Explanation: Ans. is 'a' i.e., Cytokeratin; 'b' i.e., S-100 & 'c' i.e, Vimentin o Immunohistochemisny: these tumors have spindle cells which are positive for vimentin and epithelial components positive for cytokeratin. More recently, molecular diagnostic studies have identitied a unique translocation, t (X;18), producing SYT/SSX1 or - SSX2 fusion genes. S-100 staining may give positive results.